Most common extra renal manifestation of autosomal dominant polycystic kidney disease .
1. Cysts in liver
2. Direrticulosis of GUT
3. Berry aneurysms
4. Pancreatic cyst

Correct answer: 1. Cysts in liver

Explanation: Most common extra renal manifestation of ADPCKD  - Cysts in liver (Hepatomegaly).